Shortest acting mydriatics:
1. Atropine
2. Homatropine
3. Tropicamide
4. Cyclopentolate

Correct answer: 3. Tropicamide

Explanation: (Ref: KDT, 8th ed. pg. 130)Agents which dilate the pupillary diameter in order to facilitate fundoscopy are known as mydriatics. These are anti-muscarinic class of drugs.Anti-muscarinic drugs used in ophthalmologyDrugDuration of Effect (days)Atropine7-10Scopolamine3-7Homatropine1-3Cyclopentolate1Tropicamide0.25 days (6 hrs)These agents have mydriatic as well as cycloplegic action both.Strongest cycloplegic is: AtropineCycloplegic agent of choice in child: Atropine (child age group has strong ciliary muscles)Cycloplegic agent of choice in adults: Tropicamide